Blow out fracture orbit is characterized by all, except
1. Diplopia
2. Tear drop sign
3. Forced diction test
4. Exophthalmous

Correct answer: 4. Exophthalmous

Explanation: There is enophthalamous in the blow out fracture and not exophthalmous Refer khurana 6/e